Riboflavin deficiency is not associated with -
1. Alcohol
2. PEM
3. Chronic vomiting
4. Fat malabsorption

Correct answer: 4. Fat malabsorption

Explanation: Riboflavin Vitamin B2. Fundamental role in cellular oxidation. Antioxidant action. Cofactor in a number of enzymes involved in energy metabolism. Maintain the integrity of mucucutaneous structures. Rich sources: milk, egg, liver, kidney, green leafy vegetables. Germination increases riboflavin content of pulses. Deficiency: Most common lesion associated with riboflavin deficiency is angular stomatitis , which occurs in malnourished children and is used as an index to assess state of nutrition of groups of children. Other signs are cheilosis, glossitis, nasolabial dyssebacia, vomiting.Hyporiboflavinosis seldom incapacitates the individual but it have subtle functional effects such as impaired neuromotor functioning, increased susceptibility to cataract and impaired wound healing. Seen in association with deficiencies of other B complex vitamins such as pyridoxine and alcoholics. {Reference: Park's textbook of community medicine 23 rd edition, pg no. 619}